Distance of the Lower Esophageal Sphincter from the upper incisors is
1. 15cm
2. 22.5cm
3. 27.5cm
4. 37.5cm

Correct answer: 4. 37.5cm

Explanation: Lower oesophageal sphincter is seen in lower part of oesophagus where it pierces diaphram. It is 37.5cm/15inch from incisor teeth. Ref - BDC vol 1 6th edition pg 282